Fournier's gangrene affects
1. Cheek area
2. Perineal area
3. Abdominal wall
4. Toes

Correct answer: 2. Perineal area

Explanation: Ref:Bailey and love 27th edition Pg no :419